Upper molars have following occlusal view
1. Rhomboid
2. Square
3. Rectangular
4. Trapizoidal

Correct answer: 1. Rhomboid